Vasodilator Nitric oxide is derived from which of the following:
1. Proline
2. Histidine
3. Arginine
4. Lysine

Correct answer: 3. Arginine

Explanation: Derivatives of amino acids Proline is converted to glutamate (by a series of steps) and then transaminated to alpha-ketoglutarate Histidine on decarboxylation, gives the corresponding amine i.e. histamine Arginine is the substrate for the production of nitric oxide (NO)